In which of the following uveitic conditions it is contraindicated to put in an intraocular lens after cataract surgery?
1. Fuch's heterochromic cyclitis
2. Juvenile rheumatoid arthritis
3. Psoriatic arthritis
4. Reiter's syndrome

Correct answer: 2. Juvenile rheumatoid arthritis

Explanation: Surgery in patients with associated uveitis

Cataract surgery with IOL implantation has become an increasingly successful surgical procedure in patients who develop a cataract as a consequence of uveitis or its treatment (corticosteroid). Most uveitis experts have agreed over the past decade that an in-the-bag posterior chamber IOL (PC-IOL) can be well tolerated in patients with a history of uveitis provided the uveitis has been perfectly quiet for a sustained period prior to surgery and provided that the uveitis remains inactive during and after surgery.
IOL selection in uveitis patients depends on the type of uveitis, expected surgical trauma and expected a postoperative inflammatory reaction. Hydrophilic acrylic foldable JOLs and heparin surface-modified (HSM) PIVEVIA I Ls are used most widely and tolerated in uveitis patients.
However, IOL implantation in a patient of JRA having uveitis is highly controversial. Implantation of IOL in such patients carries a greater danger for development fibrosis, secondary retrolental membranes and lens capture. Therefore, young JRA patients in particular probably should not even be considered for lens implantation associated with the removal of their cataract.